Stimulation of peripheral chemoreceptors causes:
1. Bradycardia
2. Tachycardia
3. Either bradycardia or tachycardia
4. Neither bradycardia nor tachycardia

Correct answer: 3. Either bradycardia or tachycardia

Explanation: Peripheral chemoreceptor in the carotid and aortic bodies can produce variable effects on heart rate- Direct Effect: Vagal stimulation- Bradycardia Indirect effect : Hypoxia- Peripheral chemoreceptor stimulation - Hyperventilation and increased catecholamine secretion - Tachycardia and increased cardiac output Chemoreceptor reflex Receptors Peripheral chemoreceptors in carotid and aortic bodies Central chemoreceptors in the medulla. Stimulus Decrease in PaO2 Increase in Part CO2, H+ ion conc Afferent IX (sinus nerve of Hering) and X (Vagus N) Center for Reflex Medulla Efferent Sympathetic and parasympathetic neurons to heart vasculature and adrenal medulla. Response Direct effect: Bradycardia Indirect effect: Hyperventilation , tachycardia, vasoconstriction, increased cardiac output and increased BP. Ref: Ganong' s Review of Medical Physiology 26th edition Pgno: 581, 582